Monitoring of drug level is not required with:
1. Lithium
2. L-Dopa
3. Digoxin
4. Phenytoin

Correct answer: 2. L-Dopa

Explanation: Ans: B (L-Dopa) Ref: Goodman &Gillman's The Pharmacological Basis of Therapeutics, 20I1 12th Edition, McGraw Hill Barton LL P 447, 803,592Explanation:Except L- dopa ah other drugs are having a narrow safety margin hence monitoring of these drugs are essentialDigoxin : 0.5-lng/mLPhenvtoin: Total- 10-20mcg/mL (free concentration of 0.75-1.25 mcg/Ml)Lithium : 0.6-1.5 mEq /L